ALL L3 morphology is a malignancy arising from which cell lineage -
1. Mature B cell
2. Precursor B cell
3. Immature T cell
4. Mixed B cell & T cell

Correct answer: 1. Mature B cell

Explanation: • Acute Lymphoblastic Leukemias (ALL) of the L3 (FAB) subtype are tumors of Mature B-cells (e.g. Burkitt’s lymphoma)